Longest part of the fallopian tube is :
1. Interstitial portion
2. Ampulla
3. Infundibulum
4. Isthmus

Correct answer: 2. Ampulla

Explanation: Ampulla